Investigation of choice for focal neurologic deficit in emergency room is -
1. CT
2. MRI
3. Lumbar puncture
4. CECT

Correct answer: 1. CT

Explanation: Ans. is 'a' i.e., CT a Focal neurologic deficits presenting in the Emergency room are of acute onset and such a presentation is secondary to a vascular event or a post-traumatic event. In Indian set up CT Scan is the investigation of choice in the emergency room to screen patients of acute focal neurologic deficit.Acute Focal Neurological Deficito The sudden development of a single focal neurological deficit suggests a vascular ischemic event such as an infarction. Infarctions typically remain stable in the immediate period of presentation or worsen due to complicating hemorrhage, edema, or infarction extension after hemorrhage. A deficit from a transient ischemic attack resolves within 24 hours. Neurologic deficits from acute reversible ischemia may take up to 30 days to completely resolve,o CT scanning is often used to screen patients for suspected infarction, but it may miss early cytotoxic edema. An obscured insular ribbon and a dense middle artery are signs indicating infarction but may be absent in a given patient. Diffusion-weighted imaging (DWI) MRl detects cytotoxic edema in the first few hours of an infarction and may remain positive for a week to 10 days.